Diaphragm develops from all except -
1. Septum transversum
2. Dorsal mesocardium
3. Pleuroperitoneal membrane
4. Cervical myotomes

Correct answer: 2. Dorsal mesocardium